Most common association with Acanthosis nigricans ?
1. Hypertension
2. DM
3. Obesity
4. Hypothyroidism

Correct answer: 3. Obesity

Explanation: Ans. is 'c' i.e., Obesity Acanthosis nigricans is a brown to black, velvety hyperpigmentation of the skin. It is usually found in body folds, such as posterior & lateral folds of neck, axilla, groin, umblicus, forehead. It typically occurs in individuals younger than 40 years of age. Histopathologically papillomatosis is characteristically seen; however, there is no hypermelanosis and there is only mild acanthosis, if present. It is associated with : Obesity (most common) Endocrinopathies --> Hypothyroidism, hyperthyroidism, insuline resistance diabetes, Cushing's disease, PCOD, Bloom syndrome. Internal malignancy --> Gastric adenocarcinoma.